All statements are true except remifentanil is true except
1. Useful for short painful procedures
2. Metabolized by plasma esterases
3. Equipotent as fentanyl
4. Long acting anesthetic

Correct answer: 4. Long acting anesthetic

Explanation: Refer Goodman Gilman 11/e p 572 Remifentanil is shortest acting opioid due to its metabolism by plasma esterases Due to its short duration of action, it is indicated for short term painful procedures Intravenous bolus dosing is not practical Potency is equal to fentanyl